Gaucher's disease is due to deficiency of enzyme :
1. Sphingomyelinase
2. 13-Clucosidase
3. Hexosaminidase-A
4. P-Galactosidase

Correct answer: 2. 13-Clucosidase

Explanation: B i.e. 13-glucosidase